Schizophrenia mostly occurs in -
1. Adolescents
2. Children
3. Middle age
4. Old age

Correct answer: 1. Adolescents

Explanation: Schizophrenia starts in late adolescence and early adulthood (15-20 years).